All are true about narcolepsy except:
1. Day dreaming
2. Hypnagogic hallucinations
3. Cataplexy
4. Sudden sleep

Correct answer: 1. Day dreaming

Explanation: Ans. (A) Day dreamingNarcolepsy:Disorder characterized by excessive daytime sleepiness often distributed night time sleep and disturbances in REM sleep.Hallmark of this disorder is decreased REM latency, I.e. decreased latent period before the first REM period occurs.Normal REM latency is 90- 100 minutes, in narcolepsy, REM sleep occurs within 10 minutes of the onset of sleep.Classical tetrad of symptoms:Sleep attacks (MC)CataplexyHallucinations at sleep onset (Hypnagogic) and upon waking (Hypnopompic)Sleep paralysis.